Which of the following arises from infra glenoid tubercle?
1. Long head of biceps
2. Long head of triceps
3. Short head of biceps
4. Coracobrachialis

Correct answer: 2. Long head of triceps

Explanation: Long head of triceps originates from infraglenoid tubercleCoracobrachialis along with the short head of biceps originates from the coracoid process of the scapula.The long head of biceps originates from the supraglenoid tubercle of the scapula.Reference: Textbook of anatomy, Upper limb, and thorax, Vishram Singh, 2nd edition, page no.101,94,93